The peptide binding site on Class I MHC molecules is located in:
1. Proximal domain of a subunits
2. Distal domain of a subunit
3. Proximal domains of a and p subunit
4. Distal domains of a and p subunit

Correct answer: 2. Distal domain of a subunit

Explanation: Major histocompatibility complex (MHC) molecules are found in one region of chromosome 6. They are divided into class I and class II. Peptide binding site on class I MHC molecules is located in a grove between the distal domains of a subunits (between a1& a 2 domains). CD8 Cytotoxic T lymphocytes can recognize peptide antigen only when presented along MHC I molecules. Ref: Interface between Chemistry and Biochemistry By Pierre Jolles, Page 106; Textbook of Microbiology By Ananthanarayan and Panicker, 7th Edition, Page 130.